True about vit–D deficiency rickets –a) Vit. D3 given at a dose of 50–150 mg/dayb) X–ray knee joint is diagnosticc) Rickety rosary is tenderd) Increased chances of respiratory tract infectione) Hyponatrernia
1. c
2. bd
3. ab
4. ac

Correct answer: 2. bd